A 26 yrs old male with restriction of eye movements in all directions &moderate ptosis but with no diplopia or squint. Diagnosis is -
1. Thyroid ophthalmopathy
2. Chronic progressive external ophthalmoplegia
3. Myasthenia gravis
4. Multiple cranial nerve palsies

Correct answer: 2. Chronic progressive external ophthalmoplegia

Explanation: Chronic progressive externalophthalmoplegia (CPEO), is a type of eye disorder characterized by slowly progressive inability to move the eyes and eyebrows. It is often the only feature of mitochondrial disease, in which case the term CPEO may be given as the diagnosis.